Moth eaten alopecia is seen in –
1. Black dot tinea
2. Telogen effluvium
3. Alopecia areata
4. Secondary syphilis

Correct answer: 4. Secondary syphilis

Explanation: Moth eaten alopecia is characteristic of secondary syphilis. This hair loss in its classical form resembles a somewhat diffuse and patchy alopecia areata (patches hair loss with ragged edges to alopecia spots).